Effective to change health behaviour and attitudes of people
1. Workshop
2. Group discussion
3. Panel discussion
4. Demonstration

Correct answer: 2. Group discussion

Explanation: Group discussion is considered a very effective method of health communication. It permits the individuals to learn by freely exchanging their knowledge, ideas and opinions. Where long-term compliance is involved (cessation of smoking) group discussion is considered valuable. Ref : Park 23rd edition Pgno : 680